Chromosome involved in Wilm's tumor is
1. 11
2. 13
3. 18
4. 22

Correct answer: 1. 11

Explanation: WTl is the best characterized Wilms tumor gene. It is located at chromosome llp13 and encodes for a transcription factor that is critical for normal development of kidneys and gonads. WT2 is localized to a cluster of genes at llpl5. Reference: Essential paediatrics; O.P.Ghai; Childhood Malignancies; Page no: 617